Certain oral conditions may preclude the use of the rubber dam; these conditions include:
1. Teeth that have not erupted sufficiently to support a retainer
2. Some third molars
3. Extremely malpositioned teeth
4. All of the above

Correct answer: 4. All of the above

Explanation: Certain oral conditions may preclude the use of the​ rubber dam; these conditions include:

Teeth that have​ not erupted sufficiently to support a retainer.
Some​ third molars.
Extremely malpositioned teeth.

In​ addition, patients suffering from asthma may not tolerate the rubber dam if breathing through the nose is​ difficult.
Sturdevants operative dentistry 4th edition page 446